The following diseases are associated with Epstein - Barr virus infection, except :
1. Infectious mononucleosis
2. Epidermodysplasia veruciformis
3. Nasopharyngeal carcinoma
4. Oral Hairy leukoplakia

Correct answer: 2. Epidermodysplasia veruciformis